A 10-mm calculus in the right lower ureter associated with proximal
hydroureterone-phrosis is best treated with
1. ESWL
2. PCNL
3. Open ureterolithotomy
4. Ureteroscopic retrieval

Correct answer: 4. Ureteroscopic retrieval